Miller put forth the acidogenic theory of dental caries in the year
1. 1890
2. 1920
3. 1924
4. 1980

Correct answer: 1. 1890